Haplike's test is done for
1. Cochleas function
2. Vestibular function
3. Middle Ear function
4. Not related to the Ear

Correct answer: 2. Vestibular function